The commonest type of genital tuberculosis is :
1. Endosalpingitis
2. Exosalpingitis
3. Endomejtritis
4. Interstitial salpingitis

Correct answer: 1. Endosalpingitis

Explanation: Endosalpingitis